Regarding oncogenesis, all are true except:
1. Proto-oncogenes are activated by chromosomal translocation
2. Malignant transformations involves accumulation of mutations in proto-oncogenes and tumor suppressor genes
3. Point mutation of somatic cells
4. Increase in telomerase activity causes anti-tumor effects

Correct answer: 4. Increase in telomerase activity causes anti-tumor effects

Explanation: Activation of proto-oncogene results in cancer causing oncogenes by following mechanisms: